In mid clavicular plane, lower border of lung lies at level of:
1. 4th rib
2. 6th rib
3. 8th rib
4. 10th rib

Correct answer: 2. 6th rib

Explanation: The lower border of the lung in midinspiration follows a curving line, which crosses the 6th rib in the midclavicular line and the 8th rib in the midaxillary line, and reaches the 10th rib adjacent to the vertebral column posteriorly.